Administration of pure O2 to hypoxic patients is dangerous because:
1. Apnea occurs due to hypostimulation of peripheral chemo receptor
2. Pulmonary edema
3. DPG
4. Convulsions

Correct answer: 1. Apnea occurs due to hypostimulation of peripheral chemo receptor

Explanation: A i.e. Apnea occurs due to hypostimulation of peripheral chemo receptor